Which of the following drug predominantly act by decreasing the preload of heart?
1. Calcium channel blockers
2. Minoxidil
3. Hydralazine
4. Nitroglycerine

Correct answer: 4. Nitroglycerine

Explanation: Vasodilator: Nitrate: |Preload Arteria dilator: Hydralazine:|Afterload Mixed - Nitroprusside ACE(-) | Both Preload and afterload ARBS - Minoxidil : Pottasium channel opener, enhance potassium efflux causing membrane hyperpolarization leading to decrease in calcium entry and smooth muscle relaxation causing vasodilation. Minoxidil and finasteride are trichogenic agents that are indicated for the treatment of androgenic alopecia ("male pattern baldness"). Minoxidil, originally used as a systemic antihypertensive, was noted to have the adverse effect of increased hair growth.